Which of the following conditions might cause endocrine shock?
1. Hypothyroidism
2. Hyperthyroidism
3. Adrenal insufficiency
4. All of the above

Correct answer: 4. All of the above

Explanation: Endocrine shock may present as a combination of hypovolemic, cardiogenic and distributive shock. Causes of endocrine shock include hypo- and hyperthyroidism and adrenal insufficiency.